Which of the following site is least commonly involved in arthrogryposis ?
1. Knee
2. Hip
3. Trunk
4. Elbow

Correct answer: 3. Trunk

Explanation: . ref : maheswari 9thed essentials of pediatric orthopedics 5th ed